Diffuse esophageal spasm is best diagnosed by?
1. Endoscopy
2. Manometry
3. Barium swallow
4. CT

Correct answer: 2. Manometry

Explanation: Manometry is used to diagnose motility disorders (achalasia, diffuse esophageal spasm) and to assess peristaltic integrity prior to the surgery for reflux disease Esophageal manometry, or motility testing, entails positioning a pressure sensing catheter within the esophagus and then observing the contractility following test swallows. The upper and lower esophageal sphincters appear as zones of high pressure that relax on swallowing while the intersphincteric esophagus exhibits peristaltic contractions.